Which one of the following is not a cause for "Restrictive cardiomyopathy" -
1. Alcohol
2. Hemochromatosis
3. Amyloidosis
4. Sarcoidosis

Correct answer: 1. Alcohol

Explanation: Ref: Harrison's 19th E: pg: 1566. Most common cause of restrictive cardiomyopathy is amylodosis. The least common of the physiologic triad of cardiomyopathies is restrictive cardiomyopathy, which is dominated by abnormal diastolic function, often with mildly decreased contractility and ejection fraction (usually >30-50%). Other causes : hemochromatosis, hyper and hypothyroidism, pheochromocytoma, nutritional deficiencies., sarcoidosis.